A 8 year old child has localized noncicatricial alopecia over scalp with itching and scales. The diagnosis is:
1. Tinea barbae
2. Alopecia areata
3. Tinea capitis
4. Lichen planus

Correct answer: 3. Tinea capitis

Explanation: Tinea barbae - beard area. Lichen planus - causes cicatricial alopecia. Tinea capitis - Non- cicatricial alopecia. Alopecia areata - Non- cicatricial alopecia. DOC for tinea capitis: Trichophyton - Terbinafine Microsporum spp -griseofulvin Tinea capitis Alopecia areata Age Children Adults Itching and scales + - Exclamation mark Not seen Stumps are exclamation mark shaped Density of hair Numerous broken hair Scanty hair